Most important for diapedesis?
1. PECAM
2. Selectin
3. Integrin
4. Mucin like glycoprotein

Correct answer: 1. PECAM

Explanation: o Platelet endothelial cell adhesion molecule (PECAM or CD-31) is present on both endothelium and leukocytes.
o It is the major adhesive molecule for diapedesis.
Leukocyte and endothelial adhesion molecules
o Leukocyte adhesion and transmigration are regulated largely by binding of complementary' adhesion molecules on the leukocyte & endothelial surface and by chemical mediators,
o Cytokines affect these processes by modulating expression of adhesion molecules so that leukocytes can firmly adhere to endothelium.
o There are four molecular families of adhesion receptors.
1. Selectin
o Selectins function in the cell to cell interaction i.e., adhesion of leukocytes to endothelium,
o E-selectin (CD-62 E) is present on endothelial cells and it binds to sialyl-lewis, (a sialylated form of oligosaccharide on leukocytes).
o Endothelial cell expression of E-selection is a hallmark of acute cytokine-mediated inflammation,
o P-selectin (CD-62 P) is present on endothelium and platelets and it binds to sialyl-Lewis on leukocytes,
o L-selectin (CD-62 L) is present on leukocytes and it binds to mucin-like glycoprotein GlyCAM-1 on endothelium.
2. Immunoglobulin family
o Present on endothelium
o ICAM-l (intracellular adhesion molecule-1) binds to β2-integrins (VLA-4) of leukocytes,
o Platelet endothelial cell adhesion molecule (PECAM or CD-31) is present on both endothelium and leukocytes. It is the major adhesive molecule for diapedesis.
3. Integrins
o Integrins promote cell-cell or cell-matrix interaction ( in contrast to selectins that promote only cell-cell interaction) i.e., integrins helps in adhesion of leukocytes to endothelium and adhesion
of leukocytes to an extracellular matrix such as fibronectin, vitronectin, activated complement,
o Present on leukocytes
o β1 - integrins (VLA-4) bind to VCAM-1 of endothelium,
o β2 - integrins (LFA-1 and MAC-1) bind to ICAM-l of endothelium.
4. Mucin-like glycoprotein
o These glycoproteins are present in the extracellular matrix and on the cell surface,
o An example is Heparan sulfate, that serves as a ligand for the leukocyte adhesion molecule CD-44.